Separation of rods and cones due to exudative choroiditis causes:
1. Photopsia
2. Micropsia
3. Macropsia
4. Metamorphopsia

Correct answer: 2. Micropsia

Explanation: Ans. Micropsia